A man was diagnosed to have myositis ossificans progressive at the age of 20 years. He died five years later. What is the most probable cause of his death -
1. Starvation and chest infection
2. Myocarditis
3. Hypercalcemia
4. Hyperphosphatemia

Correct answer: 1. Starvation and chest infection

Explanation: The most common causes of death in patients with fibrodysplasia ossificans progressiva were cardiorespiratory failure from thoracic insufficiency syndrome (54%; median age, forty-two years) and pneumonia (15%; median age, fortyyears).